The fracture of diaphysis involves which of the following bones?
1. Skull bones
2. Long bone
3. Sternum
4. Ribs

Correct answer: 2. Long bone

Explanation: The anatomic location of the fracture can be described as diaphyseal (involving the central shaft of a long bone), metaphyseal (involving the ends of the shaft of a long bone), physeal (involving the growth plate), or epiphyseal (involving the ends of a long bone).